The nipple is supplied by which of the following intercostals nerve?
1. T3
2. T4
3. T5
4. None of the above

Correct answer: 2. T4

Explanation: The breast is innervated by anterior and lateral branches of the fourth to sixth intercostal nerves, which carry sensory and sympathetic efferent fibres. The nipple is supplied from the anterior branch of the lateral cutaneous branch of T4